Advantage of indirect over direct ophthalmoscopy ?
1. Erect image
2. No stereopsis
3. Hypermagnification
4. Useful in hazy media

Correct answer: 4. Useful in hazy media

Explanation: Ans. is 'd' i.e., Useful in hazy media